The earliest response of pulpitis is:
1. Cyst formation
2. Calcification
3. Hyalinization
4. Formation of dental granuloma

Correct answer: 3. Hyalinization